The half-life of Amiodarone is
1. 3-8 min
2. 3-8 hours
3. 3-5 weeks
4. 3-8 weeks

Correct answer: 4. 3-8 weeks

Explanation: After oral administration, amiodarone only has a bioavailability of 30%. It also has a half-life of approximately 50 days, so it can take weeks for therapeutic effects to appear.